In acute organophosphorus poisoning which of the following is seen :
1. Dry lungs
2. Edematous lungs
3. Pneumonia
4. All

Correct answer: 2. Edematous lungs

Explanation: B i.e. Edematous lung